All are pierced in Lumbar Puncture except
1. Post longitudinal ligament
2. Ligamentum Flavum
3. Interspinous Ligament
4. Supraspinous ligament

Correct answer: 1. Post longitudinal ligament

Explanation: 1 lies Anterior to the spinal cord